Which among the following is not a premalignant lesion of vulva?
1. Paget's disease
2. Lichen Sclerosis
3. Bacterial Vaginosis
4. Bowen's disease

Correct answer: 3. Bacterial Vaginosis

Explanation: Bacterial vaginosis is not a premalignant lesion of vulva. Premalignant lesions of Vulva Vulval intraepithelial neoplasia (VIN) Paget's disease Lichen Sclerosis Squamous cell hyperplasia Condyloma accuminata Bowen's disease (erythroplasia of querat) Note: VIN is the most common premalignant lesion of vulva.